Mucous membrane pemphigoid
1. Affects older adults, typically over the age of 50 years.
2. Presents as multiple, painful ulcers preceded by bullae which form below the epithelium at the basement membrane.
3. Oral lesions may be found in any region, especially and sometimes exclusively in the attached gingival; ocular lesions can lead to blindness if untreated.
4. All of the above

Correct answer: 4. All of the above

Explanation: Mucous membrane pemphigoid 
1. An autoimmune disease of mucous membranes; antibodies directed against basement membrane antigens (Laminin 5, BP180, others).
2. Clinical features
a. Affects older adults, typically over the age of 50 years.
b. Presents as multiple, painful ulcers preceded by bullae which form below the epithelium at the basement membrane.
c. Oral lesions may be found in any region, espe-cially and sometimes exclusively in the attached gingival; ocular lesions can lead to blindness if untreated.
d. Positive Nikolsky sign may be present.
e. Persistent disease.
3. Patients are managed with corticosteroids